Poor prognostic factors for acute pancreatitis are all, EXCEPT:
1. Hyperglycemia
2. Hypocalcemia
3. Raised LDH levels in blood
4. Hyperamylasemia

Correct answer: 4. Hyperamylasemia

Explanation: Hyperamylasemia is not mentioned as the poor prognostic factor. Increased blood glucose, Increased LDH, and decreased serum calcium, all are included in the ranson's criteria of severe pancreatitis. Ref: Sabiston 18/e, Page 1600; Schwartz 9/e, Page 1183; Washington Manual of Surgery 4/e, Page 282.